All are true about whiplash injury except :
1. Neck stiffness is a presenting symptom
2. X-ray shows vertebral fracture in most cases
3. There is hyperextension followed by flexion
4. It is a ligamentous injury of the cervical spine

Correct answer: 2. X-ray shows vertebral fracture in most cases

Explanation: Whiplash injury: Collision causing the occupant's body to be forced against the car seat, while the head flips backwards causing hyperextension and then recoil into flexion. C/F: Neck pain and stiffness, headache, dizziness, blurring of vision, paraesthesia in the arms, Temporomandibular discomfort and tinnitus. Tenderness of neck muscles, restriction of neck movements. =Quebec Task Force grading system: 0 - No neck symptoms or signs 1 - Neck pain, stiffness and tenderness 2 - Neck symptoms and musculoskeletal signs 3 - Neck symptoms and neurological signs 4 - Neck symptoms and fracture or dislocation =X-ray - Loss of cervical lordosis due to muscle spasm. Vertebral fracture is not mostly seen in whiplash injury. =Management: SOFT COLLAR Simple pain-relievers like NSAIDs during the first few weeks. Graded exercises and isometric strengthening exercises after the pain subsides.